The defect of conation is typically seen in -
1. Simple shcizophrenia
2. Hebephrenia schizophrenia
3. Catatonic schizophrenia
4. Paranoid schizophrenia

Correct answer: 3. Catatonic schizophrenia

Explanation: Catatonic schizophrenia is characterized by marked disturbance in motor behavior, i.e. action (conation).